An 11 year old 70 kg. child presents with limitation of abduction an internal rotation. There is tenderness in scarpas triangle. On flexing the hip the limb is abducted. The diagnosis is -
1. Perthes disease
2. Slipped capital femoral epiphyses
3. Observation hip
4. Tuberculosis hip

Correct answer: 2. Slipped capital femoral epiphyses